Minimum quantity of blood required to be preserved for chemical analysis is :
1. 2 ml
2. 10 ml
3. 50 ml
4. 100 ml

Correct answer: 2. 10 ml

Explanation: B i.e. 10 ml